Dangerous area of face is so called because?
1. Its infection can lead to cavernous sinus thromobosis and can be life threatning
2. Trauma here leads to massive bleeding and death
3. It is easily scarred
4. it's easily hurt in injuries

Correct answer: 1. Its infection can lead to cavernous sinus thromobosis and can be life threatning

Explanation: ANSWER: (A) Its infection can lead to cavernous sinus thromobosis and can be life threateningREF: Dhingra 4th ed page 191The dangerous triangle of the face or maxillofacial death pyramid (MDP) consists of the area from the corners of the mouth to the bridge of the nose, including the nose and maxilla. Due to the special nature of the blood supply to the human nose and surrounding area, it is possible (although very rare) for retrograde infections from the nasal area to spread to the brain.This is possible because of venous communication (via the ophthalmic veins) between the facial vein and the cavernous sinus. The cavernous sinus lies within the cranial cavity, between layers of the meninges and is a major conduit of venous drainage from the brain.